Which of the following factors of balanced occlusion is given by the patient?
1. Condylar guidance
2. Incisal guidance
3. Inclination of the cusps
4. Orientation of the occlusal plane

Correct answer: 1. Condylar guidance

Explanation: Condylar guidance
Definition: The mechanical form located in the upper posterior region of an articulator that controls movement of its mobile member (GPT8).
Condylar guide inclination: The angle formed by the inclination of a condylar guide control surface of an articulator and a specified reference plane (GPT8).

This is the mandibular guidance generated by the condyles traversing the contours of the glenoid fossa.
It is duplicated in the articulator. The extent of duplication depends on the articulator’s capability, whether it is semi-adjustable or fully adjustable.
Protrusive condylar guidance is obtained using protrusive records,while the lateral condylar guidance is obtained using Hanau’s formula or lateral records 
It is designated as an inclination or angle – condylar guidance angle or inclination – and is expressed in degrees.
This is the only factor that is obtained from the patient and is not under the dentist’s control.
A shallow condylar guidance will cause less posterior tooth separation in protrusion and requires teeth with shorter cusps and flatter fossa to achieve balanced occlusion, than a steep guidance.

Key Concept:
Out of the ﬁve factors of balanced occlusion, only condylar guidance is recorded from the patient by the means of protrusive records.